Best treatment for glioblastoma multiforme:
1. Chemotherapy
2. Radiation
3. Excision with radiation
4. Stereotactic surgery

Correct answer: 3. Excision with radiation

Explanation: Ans. C. Excision with radiation* These are highly infiltrative tumors, and the areas of increased T2/FLAIR signal surrounding the main tumor mass contain invading tumor cells.* Treatment involves maximal surgical resection followed by partial-field external beam radiotherapy (6000cGy in thirty 200-cGy fractions) with concomitant temozolomide, followed by 6-12 months of adjuvant temozolomide